Enamel Hypo-calcification and hypo-muturation of tooth is seen in
1. Osteogenesis imperfecta
2. Dentinogenesis imperfecta
3. Trichodento-osseus syndrome
4. Turner tooth

Correct answer: 3. Trichodento-osseus syndrome

Explanation: Tricho dento osseous (TDO) syndrome is a rare, autosomal dominant disorder principally characterized by curly hair at infancy, severe enamel hypomineralization and hypoplasia and taurodontism of teeth, sclerotic bone, and other defects. Diagnostic criteria are based on the generalized enamel defects, severe taurodontism especially of the mandibular first permanent molars, an autosomal dominant mode of inheritance, and at least one of the other features (i.e. nail defects, bone sclerosis, and curly, kinky or wavy hair present at a young age that may straighten out later). Confusion with amelogenesis imperfecta is common; however, taurodontism is not a constant feature of any of the types of amelogenesis imperfecta.